Most common posterior mediastinal tumour is:
1. Neurogenic tumour
2. Thymoma
3. Cyst
4. Lymphoma

Correct answer: 1. Neurogenic tumour

Explanation: Neuroblastoma is the most common tumor of posterior mediastinum It is the commonest tumor of neurogenic origin in children however in adults that is peripheral nerve sheath tumor. Anterior Mediastinum Thymoma Teratoma Lymphoma Thyroid lesions Parathyroid tumors Metastatic carcinoma Posterior Mediastinum Neurogenic tumors (Schwannoma, neurofibroma) Lymphoma Metastatic tumor (most are from the lung) Bronchogenic cyst Gastroenteric hernia Middle Mediastinum Bronchogenic cyst pericradial cyst Lymphoma